A 29yr old women comes to clinic because of heat intolerance, excess sweating, thinning of hair. She had family H/O of autoimmune disease, she is 8 wks pregnant and has had no other issues during pregnancy. Medical H/O includes hyperthyroidism. Lab studies are positive for thyroid stimulating immunoglobulin. Wof drug is most appropriate for treatment
1. Methimazole
2. Propylthiouracil
3. Radioactive iodine
4. Oxytocin

Correct answer: 2. Propylthiouracil

Explanation: This is a case of Grave's disease, which results in thyrotoxicosis. Inhibit hormone synthesis (Antithyroid drugs) Includes Propylthiouracil, Methimazole, Carbimazole. Mech of action:- Antithyroid drugs bind to the thyroid peroxidase and prevent oxidation of iodide/ iodotyrosyl residues, thereby; (i) Inhibit iodination of tyrosine residues in thyroglobulin (ii) Inhibit coupling of iodotyrosine residues to form T3 and T4. Ref:- kd tripathi; pg num:- 252,253